Impairment of moral and social sense, lack of initiation and difficulty in planning with flight of ideas is a feature of lesion in the:-
1. Frontal lobe
2. Parietal lobe
3. Temporal lobe
4. Occipital lobe

Correct answer: 1. Frontal lobe

Explanation: Lesion in the frontal lobe may result in the frontal lobe syndrome. Sectioning the connections between prefrontal cortex and diencephalon will also cause prefrontal cortex to be put out of action - prefrontal leucotomy. Such lesions are characterized by: (i) flight of ideas, difficulty in planning; (ii) euphoria; (iii) memory impairment with loss of moral and social sense; (iv) restlessness and lack of concentration; (v) lack of initiative; (vi) emotional instability, (vii) patient becomes less self-critical, holding an exalted opinion of his abilities (though his higher intellectual faculties are impaired).